A false negative tuberculin reaction may be obtained in all of the following situations except
1. Children previously tested with tuberculin test
2. Post measles test
3. Corticosteroids therapy
4. Miliary tuberculosis

Correct answer: 1. Children previously tested with tuberculin test

Explanation: Ref Robbins 9/e p371 Children previously tested with tuberculin test may show a false positive tuberculin test false negative mantoux test Sarcoidosis Malnutrition Hodgkin's lymphoma Immunosupression Fulminant TB To